Germ cell tumor(s) of paediatric includes all except
1. Pure yolk sac tumor
2. Leydig cell tumor
3. Choriocarcinoma
4. Embryonal cell carcinoma

Correct answer: 2. Leydig cell tumor

Explanation: Germ cell tumors in males(95%) include embryonal carcinoma(40%),yolk sac tumor(5%),Choriocarcinoma(rare),Seminoma(45%) and teratomas.Leydig cell tumor is a sex cord-stromal tumor(5%).Other sex cord -stromal tumors in males are sertoli cell tumor,granulosa cell tumor. In females,germ cell tumors(15-20%) include embryonal carcinoma(40%),yolk sac tumor,choriocarcinoma(rare), teratomas(95%) ,dysgerminoma(2%).Sex cord-stromal tumors (5-10%) include granulosa-theca cell tumor,sertoli-leydig cell tumor,gynandroblastoma. Reference:Textbook of pathology-Harsh Mohan,6th edition,page no:708,745.